Bevel in class II amalgam filling is given for:
1. Increased retention
2. Increased resistance
3. To prevent microleakage
4. Aesthetic reasons

Correct answer: 2. Increased resistance